Which process establishes the three definitive germ layers?
1. Neurulation
2. Gastrulation
3. Craniocaudal folding
4. Lateral folding

Correct answer: 2. Gastrulation

Explanation: Gastrulation - three primary germ layers from epiblast during week 3 of development i.e dorsal ectoderm, middle mesoderm, ventral endoderm. Neurulation is the process by which neuroectoderm forms the neural plate, which eventually folds to form the neural tube.